The major disadvantage of treatment using a cervical head gear is
1. Impaction of maxillary canines
2. Extrusion of maxillary incisors
3. Extrusion of maxillary molars
4. Deformity of neck

Correct answer: 3. Extrusion of maxillary molars

Explanation: So cervical head gear is used in patients with low mandibular plane angle and deep bite.